A 10-year-old boy developed hoarseness of voice following an attack of diphtheria. On examination his right vocal was paralysed. The treatment of choice for paralysed vocal cord will be:
1. Gel foam injection of right vocal cord
2. Fat injection of right vocal cord
3. Thyroplasty type-I
4. Wait for spontaneous recovery of vocal cord

Correct answer: 4. Wait for spontaneous recovery of vocal cord

Explanation: Diphtheria is known to cause cranial nerve palsies and peripheral neuritis. It may cause paralysis of palate, pharynx, larynx and face. Recovery may also occur in a few weeks or months. Thus patient has a chance to recover vocal cord paralysis and the wait and watch policy would be the right option. Also compensation by the left vocal cord is possible if recovery dose not take place. Thyroplasty type-I, i.e. medialisation of right vocal cord would be the option if even the compensation fails. Compensation by the healthy cord may take 6 months to 1 year.